Most Radiosensitive Ocular structure is?
1. Cornea
2. Lens
3. Sclera
4. Retina

Correct answer: 2. Lens

Explanation: *Most radiosensitive ocular structure is Lens *Most radioresistant Ocular Structure is Sclera